Which of the following is true regarding idiopathic non-specific interstitial pneumonia?
1. Honeycombing is seen on CT
2. Male predominant with smoking history
3. Occurs at elderly age
4. Good prognosis with most showing improvement after treatment

Correct answer: 4. Good prognosis with most showing improvement after treatment

Explanation: NSIP is a subacute restrictive process Occurs at a younger age Most commonly in women who have never smoked Good prognosis, with most showing improvement after treatment with Glucocorticoids in combination with Azathioprine HRCT :- shows bilateral, subpleural ground-glass opacities, often associated with lower lobe volume loss, areas of consolidation and reticular abnormalities may be present, but honeycombing is unusual.